Two weeks after an injury to his right eye, a boy presents with bilateral pain and redness. The most probable diagnosis is:
1. Sympathetic ophthalmitis
2. Endophthalmitis
3. Optic neuritis
4. Glaucoma

Correct answer: 1. Sympathetic ophthalmitis

Explanation: Sympathetic ophthalmia is an inflammation in the second eye after the other has been damaged by penetrating injury. In most cases, some portion of the uvea of the injured eye has been exposed to the atmosphere for at least 1 hour. The uninjured or "sympathizing" eye develops minor signs of anterior uveitis after a period ranging from 2 weeks to many years. As a result of ciliary body inflammation, floating spots and loss of the power of accommodation are among the earliest symptoms. The disease may progress to severe iridocyclitis. Usually, the eye remains relatively painless. The retina usually remains uninvolved except for perivascular cuffing of the retinal vessels with inflammatory cells. There may be choroidal lesions (Dalen-Fuchs nodules). Ref: Chan T.Y., Hodge W.G. (2011). Chapter 16. Immunologic Diseases of the Eye. In P. Riordan-Eva, E.T. Cunningham, Jr. (Eds), Vaughan & Asbury's General Ophthalmology, 18e.